Daily requirement of sodium in an adult is
1. 30-40 mM
2. 50-90 mM
3. 80-120 mM
4. 120 -150 mM

Correct answer: 2. 50-90 mM

Explanation: The following are the approximate daily requirements of some electrolytes in adults:sodium: 50-90 mM/daypotassium: 50 mM/daycalcium: 5 mM/daymagnesium: 1 mM/dayRef: Bailey and Love 27e pg: 281